Immunoglobulins found maximum in secretions
1. IgM
2. IgG
3. IgA
4. IgD

Correct answer: 3. IgA

Explanation: (IgA): Ref: (100-Park 20th)IMMUNOGLOBULINSIgG:-* Major immunoglobulins of serum (85%)* IgG is transported across placenta (extra vascular)* Antibodies to gram positive pyogenic bacteria, antiviral and antitoxic antibodies are found exclusively among. IgGlobulinsIgM: -* It represents antibody that is promptly formed with exposure to antigen* Its presence may be indicative of recent infection* IgM antibody has high agglutinating and complement fixing abilityIgA: -* IgA is found relatively in large quantities in body secretions eg saliva, milk, colostrums, tears, bronchial secretions, nasal mucosa, prostatic fluid, vaginal secretions and mucous secretion of the small intestine* It provides the primary defence mechanism at the mucous membrane against local infectionIgE:-* IgE is concentrated in submucous tissues,